Judicial Hanging causes
1. C2-3 fracture dislocation
2. C4-5 fracture dislocation
3. C6-7 fracture dislocation
4. C7-8 fracture dislocation

Correct answer: 1. C2-3 fracture dislocation

Explanation: In judicial hanging rope is looped round the neck , with the knot under the angle of the jaw. The person is made to stand on a platform above trapdoors, which open downwards when a bolt is drawn. On drawing the bolt, the person drops to the lenght of the rope. The sudden stopage of the moving body associated with the position of the knot , causes fracture-dislocation at the level of the second & third , or third & fourth cervical vertebrae Ref: The synopsis of forensic medicine & Toxicology. Dr. K. S. Narayan Reddy. 28th edition pg: 181